Chemotherapy for dysgerminoma is :
1. Cisplatin, etoposide, bleomycin
2. Cyclophophamide, vincristine, prednisolone
3. Adriamycin, cyclophophamide, cisplatin
4. Methotrexate, oncovin, cyclophosphamide

Correct answer: 1. Cisplatin, etoposide, bleomycin

Explanation: - dysgerminoma is the most common among the malignant germ cell tumors accounting for 40%. - germ cell tumors in young women are managed by unilateral salpingo-oophorectomy followed by chemotherapy. -the most frequently used regimen is bleomycin, etoposide and cisplatin. Reference : textbook of gynaecology Sheila balakrishnan, 2 nd edition, pg no:284